During laparoscopy, the preferred site for obtaining cultures in a patient with acute PID is:
1. Endocervix
2. Endometrium
3. Pouch of Douglas
4. Fallopian tubes

Correct answer: 4. Fallopian tubes

Explanation: Ans. is d, i.e. Fallopian tubesRef: Telinde Operative Gynae 9th/ed, p678, 679; Dutta Gynecology 6th/ed, p126According to:Dutta Gynae 6th/ed, pl30For identification of organisms in PID the materials are collected from the following available sources:* Discharge from urethra or Bartholin's gland* Cervical canal* Collected pus from the fallopian tubes during laparoscopy or laparotomy.The material so collected is subjected to Gram's stain and culture (aerobic/anaerobic). The findings of Gram-negative diplococci is very much suggestive of gonococcal infection.